The Leptospira interrogans complex -
1. Causes disease in rodents which is usually fatal
2. Mostly affects the kidney and liver
3. Causes rise in 1gM antibodies which disppears after the first week of the disease
4. All

Correct answer: 2. Mostly affects the kidney and liver

Explanation: Ans. is 'b' i.e., Mostly affects the kidney and liver . The leptospires are generally non pathogenic in reservoir animals (e.g. rodents). . The leptospires mainly infect the kidney and liver. . Vasculitis is responsible for the most important manifestations of the disease. . Ig M antibodies appear after one week (not disappear). . No vaccine of leptospira is used world wide. "In parts of the world where the prevalence of human infection in certain group is high, selective human immunization schemes may be of benifit if suitable vaccine is available"